Which of the following is a terminal axillary lymph node?
1. central
2. lateral
3. anterior
4. apical

Correct answer: 4. apical

Explanation: Apical group of lymph nodes are the terminal axillary lymph nodes. Lymphatic drainage of axillary lymph nodes Anterior, posterior, lateral - central - apical - infra clavicular - supraclavicular - right jugular trunk - right lymphatic duct - right jugulo subclavian venous angle